All of the following relay in sensory cortex except
1. Pain
2. Temperature
3. Touch
4. Olfaction

Correct answer: 4. Olfaction

Explanation: (D) Olfaction > The axons of the olfactory receptor neurons penetrate the cribriform plate and enter the olfactory bulb.> The 3 olfactory pathways that lead to the CNS are The pathway to the medial olfactory area anterior to the hypothalamus. The pathway to the lateral olfactory area of the pyriform cortex, which is the area of aversion development (Eg., smells inducing nausea). The pathway to the posterior part of the orbitofrontal cortex, which is an important area for analysis of smells.